First sign of puberty in female ?
1. Tanner stage I
2. Tanner stage II
3. Pubic hair
4. Axillary hair

Correct answer: 2. Tanner stage II

Explanation: Ans. is `b' i.e., Tanner stage 11 Thelarche- first sign of puberty in Girl around age of 10 year in Girl Definition :- Begining of secondary (Post natal) breast development at onset of puberty in girls. Tanner stage 2 breast development. Because of rising level of estradiol Breast development during puberty in male termed as gynecomastia not thelarche.